Iris pearl is seen in –
1. Leprosy
2. Sarcoidosis
3. Tuberculosis
4. Chloasma

Correct answer: 1. Leprosy

Explanation: Iris pearls (also called miliary leproma) are spherical yellowish opaque micronodules near pupillary margins. They are pathognomonic for leprosy.